Which of the following is porphyrines gives stools their characteristics brown color?
1. Biliverdin
2. Urobilinogen
3. Heme
4. Stercobilin

Correct answer: 4. Stercobilin

Explanation: Stercobilin is a tetrapyrrolic bile pigment and is one end-product of heme catabolism. It is the chemical responsible for the brown color of human feces and was originally isolated from feces in 1932Urobilinogen is a colourless by-product of bilirubin reduction.Heme or haem is a cofactor consisting of a Fe2+ (ferrous) ion contained in the centre of a large heterocyclic organic ring called a porphyrin